A 14-years-old boy is not able to get good grades on 9th standard exam. But he is very sharp and intelligent. Best test to diagnose his problem:
1. Child behavior checklist
2. Bhatia's battery
3. Specific learning disability test
4. Child behavior battery

Correct answer: 3. Specific learning disability test

Explanation: Ans. c. Specific learning disability test In the given question, as the child is sharp and intelligent but getting the poor grades, so this picture is very much suggestive of "specific" learning disability disorder which is best diagnosed by Specific learning disability test. Specific Learning Disorder Specific learning disorder refers to a child or adolescents deficit in acquiring expected skill in reading, writing, speaking, use of reasoning, listening or mathematics compared to other children of same age and intellectg. The test used for this disorder is c.alled specific learning disability testQ.